The virus causing which of the following disease produces both intranuclear and intracytoplasmic inclusion bodies ?
1. Chickenpox
2. Rabies
3. Small pox
4. Measles

Correct answer: 4. Measles

Explanation: Cytopathic effect consist of multinucleate syncytium formation with numerous acidophilic nuclear and cytoplasmic inclusions REF:ANANTHANARYANAN TEXTBOOK OF MICROBIOLOGY 9EDITION PGNO.512